Which among the following is acid fast?
1. Entamoeba histolytica
2. Giardia Iambiia
3. Cryptosporidium oocyst
4. Microsporidia

Correct answer: 3. Cryptosporidium oocyst

Explanation: Ans : c) Cryptosporidium oocystAcid last structures:Nocardiaisosporasmegma bacillimycobacteriumlegionellamicoadispermatic headbacterial spores rhodococcusCryptosporidium cystAcid fast staining was discovered by Ehrlich. Modified by Ziehl & Neelson Acid fastness is a property of lipids & it also depends on the integrity of cellwall.